Maximum chances of ureteric injury are seen with :
1. TAH
2. Wertheims hysterectomy
3. Anterior colporrhaphy
4. Vaginal hysterectomy

Correct answer: 2. Wertheims hysterectomy

Explanation: Wertheim's hysterectomy : Its a radical procedure, hence more chances of injuries while dissecting ureter in parametrial tissue SHAW'S TEXTBOOK OF GYNECOLOGY,Pg no:184,15th edition